Platelet in blood bank can be stored upto maximum of -
1. 2 days
2. 5 days
3. 10 days
4. 30 days

Correct answer: 2. 5 days

Explanation: Ans. is 'b' i.e., 5 days Platelet and granulocyte storage* For storage in blood bank platelets and granulocytes require temperature of 20 - 24 degrees celcius.* Refrigeration temperatures affect platelet viability and reduce the shelf life of platelets to only 24 hours, it is no longer recommended that platelets be stored at 1 - 6 degrees celcius.* Stored platelets need to be continuously gently agitated using specially designed rotators to prevent aggregation and promote gas exchange.* Depending on the method of collection system used platelets have a shelf life of minimum 1 day to a maximum of 5 days.